A female is on hormone replacement therapy for her menopausal symptoms. She is worried about her bone strength because her mom and sister had osteoporosis after the age of 50. All are given for prevention of osteoporosis along with hormonal replacement therapy, EXCEPT:
1. Calcium
2. Vit.D
3. Vitamin-E
4. None of the above

Correct answer: 3. Vitamin-E

Explanation: Women most at risk for osteoporotic fractures should consider bisphosphonates, raloxifene, along with hormone replacement therapy. Elemental calcium should be taken as a daily supplement at the time of the menopause and thereafter; calcium supplements should be taken with meals to increase their absorption. Vitamin D, sunlight, or supplements, is necessary to enhance calcium absorption and maintain bone mass. Ref: MacKay H., Woo J. (2013). Chapter 18. Gynecologic Disorders. In M.A. Papadakis, S.J. McPhee, M.W. Rabow, T.G. Berger (Eds), CURRENT Medical Diagnosis & Treatment 2014.